Atenolol is indicated in all EXCEPT:
1. Hypertension
2. Partial heart block
3. Hypertrophic obstructive cardiomyopathy
4. Classical angina

Correct answer: 2. Partial heart block